In infants, the cause of blindness arising out of oxygen toxicity is -
1. Degeneration of crystalline lens
2. Growth of blood vessels into vitreous followed by fibrosis
3. Damage to cornea
4. Enzymic defect in lens

Correct answer: 2. Growth of blood vessels into vitreous followed by fibrosis

Explanation: Ans. is 'b' i.e., Growth of blood vessels into vitreous followed by fibrosis